The pathognomonic finding of sialograph in Sjogren syndrome is:
1. Prunning of the tree
2. Leafless fruit laden tree
3. Both
4. None

Correct answer: 3. Both

Explanation: Sialography, in the early stages of the disease, demonstrates a normal ductal system and numerous punctate (<1 mm in diameter) collections of contrast material distributed evenly throughout the gland. These early changes are not evident on MDCT or MRI. As the disease progresses, the ducts become narrow and the collections of contrast material become globular (1 to 2 mm in diameter). This appearance is pathognomonic and is termed “prunning of the tree” or “leafless fruit-laden tree”.